Which of the following is a transfatty acid?
1. Oleic acid
2. Elaidic acid
3. Stearic acid
4. Arachidonic acid

Correct answer: 2. Elaidic acid

Explanation: Ans. is 'b' i.e., Elaidic acid* There are two types of fatty acids :i) Saturatedii) Unsaturated* Cis - trans isomerism is for unsaturated fatty acids.* Stearic acid is a saturated fatty acid (No cis-trans isomerism)* Important unsaturated trans-fatty acid is Elaidic acid (trans-9-octadecenoic)Number of C Atoms and Number and Position of common Double BondsFamilyCommon NameSystemic Name Monoenoic acids (one double bondQ)16:1 ;9o7Palmitoleiccis-9-Hexadecenoic18:1;9o 9OleicQcis-9-Octadecenoic18:1;9o 9Elaidictrans-9-Octadecenoic Dienoic acids (two double bonds)18:2;9, 12o 6Linoleicall-cisQ-9, 12-Octadecadienoic Trienoic adds (three double bonds)18:3;6, 9,12o 6g-Linolenicall-cisQ-6,9, 12-Octadecatrienoic18:3;9,12, 15o 3a-LinolenicaIl-cis-9,12, 15-Octadecatrienoic Tetraenoic acids (four double bonds)20:4; 5, 8, 11, 14o 6Arachidonicall-cis-5, 8, 11, 14-Eicosatetraenoic Pentaenoic acids (five double bonds)20:5; 5, 8, 11, 14, 17o 3Timnodonicall-cis-5, 8,11,17-Eicosapentaenoic Hexaenoic acids (six double bonds)22:6; 4, 7,10, 13, 16, 19o 3Cervonicall-cis-4,7,10,13,16,19-Docosahexaenoic